Amoebic liver abscess can be diagnosed by demonstrating-
1. Cysts in the sterile pus
2. Trophozoites in the pus
3. Cysts in the intestine
4. Trophozoites in the feces

Correct answer: 2. Trophozoites in the pus

Explanation: Ans. is 'b' i.e., Trophozoites in the pus